High impact resin has?
1. Polysterene
2. Butadine-Styrene rubber
3. Polyehtyl methacrylate
4. Polyamides

Correct answer: 2. Butadine-Styrene rubber

Explanation: High impact resin = Butadiene rubber (5 to 10%) in powder